Which of the following cardiac lesion is least likely to occur in Congenital Rubella syndrome?
1. ASD
2. VSD
3. PDA
4. Pulmonary Stenosis

Correct answer: 1. ASD

Explanation: Most common cause of cardiac lesion in congenital Rubella syndrome is PDA > Pulmonary stenosis > VSD > ASD.